Non polar lipid act as
1. Electrical insulators
2. Ions
3. Non electrical insulators
4. Electrolytes

Correct answer: 1. Electrical insulators